A 71/2 months old child with cough, mild stridor is started on oral antibiotics. The child showed initial improvement but later developed wheeze, productive cough, and mild fever. X-ray shows hyperlucency and PFT shows an obstructive curve. The most probable diagnosis is,
1. Bronchiolitis obliterans
2. Post viral syndrome
3. Pulmonary alveolar microlithiasis
4. Follicular bronchitis

Correct answer: 1. Bronchiolitis obliterans

Explanation: Answer is A (Bronchiolitis obliterans): The patient in question is presenting with charachteristic features of bronchiolitis obliterans. Fever, cough, and wheeze are common clinical features of bronchiolitis obliterans and a period of initial improvement may well be seen in cases of bronchiolitis obliterans (Initial sign of B.0). Hyperluscency or chest X-Ray and obstructive curve on pulmonary function tests furthur suggest the diagnosis of bronchiolitis obliterans.